After the dentist has completed an etching procedure on a class III composite preparation, the preparation gets contaminated with saliva. In response, the dentist should do which of the following?
1. Blow away the saliva with air, and then proceed
2. Rinse away the saliva with water, dry the preparation, then proceed
3. Wipe away the saliva with cotton pellet, rinse the preparation with water, dry it with air, and then proceed
4. Rinse away the saliva with water, dry the preparation with air, then repeats the etching procedure

Correct answer: 4. Rinse away the saliva with water, dry the preparation with air, then repeats the etching procedure